Enzyme used in Leukemia-
1. Asparginase
2. Lipase
3. Amylase
4. Transminase

Correct answer: 1. Asparginase

Explanation: Asparaginase. Asparaginase is an enzyme that is used as a medication and in food manufacturing. As a medication, L-asparaginase is used to treat acute lymphoblastic leukemia (ALL), acute myeloid leukemia (AML), and non-Hodgkin's lymphoma. It is given by injection into a vein, muscle, or under the skin Ref Davidson 23rd edition pg 920